Complication of manual removal of placenta is/are:
1. Subinvolution
2. Inversion of uterus
3. Incomplete removal of placents
4. All of the above

Correct answer: 4. All of the above

Explanation: All of the above